All are true about Turner syndrome except
1. Short stature
2. Webbed neck
3. Dysgenetic gonads
4. True hermaphrodism

Correct answer: 4. True hermaphrodism

Explanation: Turner syndrome, characterized by primary hypogonadism in phenotypic females, results from partial or complete monosomy of the short arm of the X chromosome. Turner syndrome include Significant growth retardation, leading to abnormally short stature (below the third percentile); swelling of the nape of the neck due to distended lymphatic channels (in infancy) that is seen as webbing of the neck in older children; low posterior hairline; cubitus valgus (an increase in the carrying angle of the arms); shieldlike chest with widely spaced nipples; high-arched palate; lymphedema of the hands and feet; a variety of congenital malformations such as horseshoe kidney, bicuspid aortic valve, and coarctation of the aorta. Cardiovascular abnormalities are the most common cause of death in childhood. In adolescence, affected girls fail to develop normal secondary sex characteristics; the genitalia remain infantile, breast development is minimal, little pubic hair appears. Most patients have primary amenorrhea, transformation of the ovaries into white streaks of fibrous stroma devoid of follicles. The mental status is normal (Robbins Basic Pathology,9th edition,pg no. 240)